The Finance Commission derives its authority from the
1. Constitution of India
2. Parliament of India
3. President of India
4. Supreme court of India

Correct answer: 1. Constitution of India

Explanation: Ref: 25th Ed K.Park's Textbook Of Preventive and Social Medicine